Which of the following is not seen in MVP?
1. Transient ischemic attack
2. Infective endocarditis
3. Premature ventricular contractions
4. Defect in type IV collagen

Correct answer: 4. Defect in type IV collagen

Explanation: Mitral Valve Prolapse TIA occur in MVP due to endothelial disruption-Cerebral emboli. IE occurs in MVP with Mitral regurgitation PVC and PSVT can occur due to stress on papillary muscles and myocardium. Defect in type III collagen has been incriminated in MVP